In catatonic schizophrenia, all are seen except :
1. Mannerism
2. Negativism
3. Echolalia
4. Flight of ideas

Correct answer: 4. Flight of ideas

Explanation: D. i.e. Flight of ideas